Infraorbital anesthesia involves which nerve:
1. Anterior superior alveolar nerve
2. Posterior superior alveolar nerve
3. Facial nerve
4. Mandibular nerve

Correct answer: 1. Anterior superior alveolar nerve